Gall stones do not contain
1. Oxalate
2. Cholestrol
3. Phosphate
4. Carbonate

Correct answer: 1. Oxalate